A patient requires ceftriaxone 180 mg. You have a 2 mL syringe with 10 divisions per mL. The l contains 500 mg/5 mL of ceftriaxone. How many divisions in the 2 mL syringe will you fill to give 180 mg ceftriaxone?
1. 18
2. 1.8
3. 20
4. 2

Correct answer: 1. 18

Explanation: Ceftiaxone we need to give : 180 mg 500 mg in 5 ml 180 mg in 5/500*180= 1.8 ml 1 ml contains 10 divisions So 1.8 ml contains 1.8*10=18 divisions.